Idiosyncracy is known as to have
1. Genetic component
2. Psychological component
3. Physiological component
4. Nutritional component

Correct answer: 1. Genetic component